b blocker with peripheral vasodilator action is ?
1. Carvedilol
2. Propranolol
3. Atenolol
4. Acebutalol

Correct answer: 1. Carvedilol

Explanation: Ans. is 'a' i.e., Carvedilol oRT Carvedilol is a (31 + 132 + arti adrenoceptor blocker with a : 13 blocking property of 1 : 9. oRT It produces peripheral vasodilation due to a-1 blockade as well as calcium channel blockade (direct effect).